CLonarchis sinensis causes -
1. Cholangiocarcinoma
2. CBD adenoma
3. Choledocal cyst
4. HCC

Correct answer: 1. Cholangiocarcinoma

Explanation: Ans. is 'a' i.e., Cholangiocarcinoma o Risk factors for Choangiocarcinoma#Primary sclerosing cholangitis#Choledochal cyst# Ulcerative colitisMnemonic 5 C's# Clonorchis sinensis inf# Chronic typhoid carrierso Other risk factorsHepatolithiasisBiliary enteric anastomosisLiver flukesDietary nitrosaminesExposure to thorotrast, dioxin